Angioid streaks are seen in ?
1. Pseudoxanthoma elasticum
2. Paget's disease
3. Old age
4. All of the above

Correct answer: 4. All of the above

Explanation: Ans. is 'd' i.e., All of the above Angioid streak Angioid streaks are dark brown pigmented streaks that radiate from the peripapillary retina into the macular and peripheral fundus. The streaks represent linear crack like dehiscences in Bruch's membrane. These are due to changes in the elastic tissue of Bruch's membrane and are frequently associated with more widespread degeneration of similar nature as in the elastic tissue of skin (pseudoxanthoma elasticum) or arterial walls. Nearly 50% of patients with angioid streaks have an associated systemic disease. Most common association of Angioid streaks is with age related degeneration of Bruch's membrane. Other diseases associated are Pseudoxanthoma elasticum, Paget's disease of bone, Ehler's Danlos syndrome, several hemoglohinopathies such as sickle cell disease.